Which of the following is the single MOST sensitive status for evaluating body iron status?
1. Serum transferrin saturation
2. Serum ferritin
3. Serum iron
4. Hemoglobin concentration

Correct answer: 2. Serum ferritin

Explanation: The single most sensitive indicator of body iron status is serum ferritin level. Levels of < 10 mcg/ L indicates iron deficiency. Ref: Park 21st edition, page 576.